Most common cause of Cervical neoplasia is?
1. HPV-6
2. HPV-11
3. HPV-16
4. HHV

Correct answer: 3. HPV-16

Explanation: Ans. (c) HPV-16 style="font-size: 1.04761904761905em; font-family: Times New Roman, Times, serif">(Ref: )At least 12 HPV types are considered oncogenic, including HPV16, 18, 31, 33, 35, 39, 45, 51, 52, 56, 58, and 59*HPV16 alone, though, accounts for approximately 50% of cervical cancers in the general population and HPV18 for another 10% to 15%. The other oncogenic HPV types each individually account for fewer than 5% of tumors.*HPV types 6 and 11 cause 90% of genital warts, but are not considered oncogenic